The middle cardiac vein is located in the:
1. Anterior interventricular sulcus.
2. Posterior interventricular sulcus.
3. Posterior AV groove.
4. Anterior AV groove.

Correct answer: 2. Posterior interventricular sulcus.

Explanation: The middle cardiac vein commences at the apex of the heart; ascends in the posterior longitudinal sulcus, and ends in the coronary sinus near its right extremity.